Bankart's lesion is seen at
1. Post surface of glenoid labrum
2. Ant surface of glenoid labrum
3. Ant part of head of humerus
4. Post part of head of humerus

Correct answer: 2. Ant surface of glenoid labrum

Explanation: B i.e. Anterior surface of glenoid labrum